Lisch Nodules are seen
1. Neurofibromatosis I
2. Sturge weber's syndrome
3. Tuberous sclerosis
4. Von hippel lindau syndrome

Correct answer: 1. Neurofibromatosis I

Explanation: Harrison's principles of internal medicine 17 th edition. *Multiple neurofibromas usually in combination with 6 or more CALM measuring>1.5 cm, axillary freckling and multiple Lisch nodules are seen in NF type 1.